A patient presented with episodes of flushing and hypotension. His urinary 5HIAA levels were found to be increased. The diagnosis is
1. Pheochromocytoma
2. Carcinoid syndrome
3. Addison's disease
4. SIADH

Correct answer: 2. Carcinoid syndrome

Explanation: (B) Carcinoid syndrome # Carcinoid syndrome-Clinical findings include:> Flushing of the skin> Diarrhea and abdominal cramps> Right sided heart disease> Bronchoconstriction> Abdominal pain due to desmoplastic reaction of the mesentery in most patients, increased urinary excretion of 5-HIAA (5-hydroxy-indoleacetic acid), a degradation product of serotonin> Serotonin causes fibrosis of the tricuspid valve and pulmonary valve> "TIPS" - Tricuspid Insufficiency, Pulmonic Stenosis (fibrosis of tricuspid and pulmonary valves)